Maximum protein is found in ?
1. Egg
2. Soyabean
3. Rice
4. Wheat

Correct answer: 2. Soyabean

Explanation: Soyabean Ref: Park 24th edition